Which is the best method to administrator oxygen in case of burns of airways?
1. Mask
2. Elective intubation
3. Nasal prongs
4. Tracheostomy

Correct answer: 2. Elective intubation

Explanation: Initial Management of the Burned Airway Early Elective Intubation is safest Delay can make Intubation very difficult because of swelling Be ready to perform an Emergency Cricothyroidotomy if Intubation is delayed